Which of the following causes would you consider for a suspected case of Delirium Tremens, under investigation?
1. Chronic alcoholism
2. Alcohol withdrawal
3. Cocaine abuse
4. Cocaine withdrawal

Correct answer: 2. Alcohol withdrawal

Explanation: Delirium tremens (DTs) is the most severe form of ethanol withdrawal. it is manifested by altered mental status (global confusion) and sympathetic overdrive (autonomic hyperactivity), which can progress to cardiovascular collapse.